Secretion of estrogen is maximum at?
1. Just before menopause
2. At puberty
3. At menstruation
4. Before ovulation

Correct answer: 4. Before ovulation

Explanation: ANSWER: (D) Before ovulationREF: Ganong's 22nded p. 24 Post menopausal estradiol levels: 35 pg / LReference ranges for serum estradiolPatient typeLower limitUpper limitUnitAdult male50200pmol/L 1455pg/mLAdult female (follicular phase, day 5)70500pmol/L11022019140pg/mL360Adult female (preovulatorypeak)4001500pmol/L110410pg/mLAdult female (luteal phase)70600pmol/L19160pg/mLAdult female - free (not protein bound)0.59pg/mL1.733pmol/LPost-menopausal femaleN/A< 130pmol/LN/A< 35pg/mL